Granularity of oncocyte is due to?
1. Overabundance of golgi bodies
2. Overabundance of mitochondria
3. Deficiency of mitochondria
4. Deficiency of golgi bodies

Correct answer: 2. Overabundance of mitochondria